True statement about orphan drugs:
1. Drugs used for orphans
2. Drugs used for rare disease
3. Easily available drugs
4. Drugs with excessive financial benefits

Correct answer: 2. Drugs used for rare disease

Explanation: Ans. (b) Drugs used for rare disease* Drugs which are developed specifically for rare diseases are called orphan drugs.* These drugs are difficult to research, develop, and market due to lack of financial benefits.* Because of this a separate law known as 'The Orphan Drug Acf was passed in 1983.* Examples include deferipirone to treat iron overload in thalasemia patients, N-acetylcysteine to treatparacetamol poisoning etc.